Enophthalmus is due to palsy of
1. Levator palpebrae superioris
2. Superior tarsal muscle
3. Orbital muscle
4. Inferior tarsal muscle

Correct answer: 3. Orbital muscle

Explanation: Ref: BD Chaurasia's HUMAN ANATOMY, Volume 3, 4th edition. Enophthalmos (i.e. retraction of the eyeball); is possibly caused by paralysis of the smooth (orbitalis) muscle in the floor of the orbit.